Stress relaxation in denture base resins generally produces
1. Sagging
2. Crazing
3. Creeping
4. Fracture lines

Correct answer: 2. Crazing

Explanation: Stress relaxation can produce small surface flaws that may adversely affect the esthetic and physical properties of a denture. The production of such flaws, or microcracks, is termed as crazing.
Phillip’s 12th edition page 490